In the calculation of Years of Potential Life Lost (YPLL), the denominator is-
1. Population under 75 years of age
2. Midyear population
3. Population in the ages of 15 to 65 years
4. Population above 15 years of age

Correct answer: 1. Population under 75 years of age

Explanation: Years of potential life lost (YPLL)/Potential years of life lost (PYLL) An estimate of the average years a person would have lived if he or she had not died prematurely. It is a measure of premature mortality/death. Deaths occurring in individuals age 75 or older are NOT included in the calculation. For YPLL calculation, Numerator is years of potential life lost. denominator is the population under 75 years of age. - It is based on the years of life lost through premature death.